The gaps between segments of DNA on the lagging strand produced by restriction enzymes are rejoined sealed by:
1. DNA Ligases
2. DNA Helicase
3. DNA topoisomerase
4. DNA phosphorylase

Correct answer: 1. DNA Ligases

Explanation: A i.e. DNA Ligases